Break bone fever is ?
1. Malaria
2. Dengue fever
3. Kala azar
4. Japanese encephalitis

Correct answer: 2. Dengue fever

Explanation: Ans. is 'b' i.e., Dengue fever White disease AIDS Poverty disease - Cholera Hundred day cough: Pertussis (Whooping cough) 5 day fever: Trench fever 8' day disease: Tetanus Black sickness: Kala azar Black death: Plague Cerebrospinal fever: Meningococcal meningitis Breakbone fever: Dengue Koch's phenomenon: Tuberculosis Hansen 's disease: Leprosy Break-bone fever: Dengue Slim disease: AIDS Monkey fever : KFD First disease/ Rubeolla: Measles Second disease: Scarlet fever Third disease/ German Measles: Rubella Fourth disease: Duke's disease Fifth disease: Erythema infectiosum (Parvovirus) Sixth disease/ Baby Measles/ 3-day fever: Exanthem subitum/ Roseola infantum Barometer of Social Welfare (India): Tuberculosis Father of Public Health: Cholera River Blindness: Onchocerciasis